The professional death sentence is issued by
1. Media and News outlets
2. Supreme court
3. State medical council
4. Indian medical council

Correct answer: 3. State medical council

Explanation: If the medical practitioner is found to be guilty of committing professional misconduct, the appropriate Medical Council may award such punishment as deemed necessary or may direct the removal altogether or for a specified period, from the register of the name of the delinquent registered practitioner. Ref: Krishnan vij Textbook of Forensic Medicine and Toxicology; 5th ed; Page no: 348